The most accepted cause for late incisor crowding is
1. Late mandibular growth
2. Pressure from third molar
3. Lack of normal attrition
4. Lingual eruption of mandibular incisors

Correct answer: 1. Late mandibular growth